nutmeg liver is seen in
1. Right sided heart failure
2. Left sided heart failure
3. Increase pulmonary pressure
4. Decreased pulmonary pressure

Correct answer: 1. Right sided heart failure

Explanation: Nutmeg liver refers to the mottled appearance of the liver as a result of hepatic venous congestion. Radiologically, it is most appreciable on portovenous phase imaging on cross-sectional imaging. It is named after the cut appearance of thenutmeg seed. Refer robbins 9/e